Alpha 2 agonist used in glaucoma is ?
1. Brimonidine
2. Timolol
3. Phenylephrine
4. Reserpine

Correct answer: 1. Brimonidine

Explanation: Ans. is 'a' i.e., Brimonidine